Transplantation of kidney from father to son is
1. Autograft
2. Allograft
3. Xenograft
4. Isograft

Correct answer: 2. Allograft

Explanation: Autograft - Tissue transplanted from one site to another on the same patient Isograft - Transplant from a genetically identical donor, such as an identical twin Homograft (Allograft) - Transplant from individual of same species Heterograft(Xenograft) - Transplant from another species Ref: Bailey and love 27th edition Pgno :1408